Best means of giving hepatitis vaccine is -
1. Subcutaneous
2. Intradermal
3. Intramuscular deltoid
4. Intramuscular gluteal

Correct answer: 3. Intramuscular deltoid